Straining and dribbling of urine in a male infant with recurrent urinary infection should lead to the suspicion of :
1. Vesico – ureteric reflux
2. Posterior urethral valve
3. Pelvic ureteric junction obstruction
4. Phimosis

Correct answer: 2. Posterior urethral valve

Explanation: The informations provided in this question are :


Straining —> Sign of obstruction
Driblling  —>  Sign of obstruction and incomplete bladder emptying.
UTI May be due to urinary obstruction.


All these suggest the diagnosis of obstructive uropathy, and posterior urethral valve is most common cause of obstructive uropathy.